Which one of the following is the standard prescribed for setback (open space around the house) in rural areas?
1. Built up area 1/3 and open space 2/3
2. Built up area 2/5 and open space 3/5
3. Built up area1/2 and space 1/2
4. Built up area 1/4 and open space 3/4

Correct answer: 1. Built up area 1/3 and open space 2/3

Explanation: Approved standards for rural housing at least 2 living rooms ample verandah space. the built-up area should not exceed 1/3 of total area. there should be a separate kitchen with a sink or platform for washing the house should be provided with sanitary latrine. window area should be at least 10% of floor area sanitary well within a quarter of a mile from house cattle shed 25 feet away from dwelling house adequate arrangements for waste disposal. Park's Textbook of Preventive and Social Medicine, 25th Edition, Pg 811